Which one of the following benign tumors can metastasize to the lung?
1. Osteoid osteoma.
2. Non-ossifying fibroma.
3. Hemangioma.
4. Chondroblastoma

Correct answer: 4. Chondroblastoma

Explanation: Ans. D. Chondroblastoma.Benign skeletal tumors rarely if ever metastasize to lung. The two exceptions to this rule are giant cell tumor (up to 10% metastasize to lung) and chondroblastoma